Which of the following stain is used for visualising degenerated fungi in tissue?
1. PAS
2. Gomori methamine silver
3. H&E
4. Muciramine

Correct answer: 2. Gomori methamine silver

Explanation: The periodic acid Schiff (PAS) and Gomori methanamine silver stains are valuable methods for the demonstration of fungal elements in tissue sections. But since GMS is most sensitive it is the best possible answer. Ref: Textbook of Microbiology by Ananthanarayan, 6th edition, Page 565.